Gallow's traction is used for
1. Fracture shaft femur
2. Fracture neck femur
3. Shaft tibia
4. Tibial tuberosity

Correct answer: 1. Fracture shaft femur

Explanation: (A) (Fracture shaft femur) (861 Apley 9th)GALLOWS- TRACTION- is used for treatment of fracture shaft femur in infants and children < 2 years of age* Weight must not be more than 12 kg* Both the fractured and the normal femur are placed in skin traction and the infant is suspended by these from a special frame. The buttocks should be lifted just off the bed so that the weight of the body provides counter traction and the fracture is reducedRussel's traction or Thomas splint is used for fracture shaft femur in older children.TractionUse* Bryant's traction shaft femur in children below 2 years* Perkin' straction shaft femur in adults* 90-90 traction shaft femur in children* Agnes. Hunt tractionCorrection of hip deformity* Well-leg tractionCorrection of adduction or abduction deformity of hip* Dunlop tractionSupracondylar of humerusSmith' tractionSupracondylar of humerusCalcaneal tractionOpen fractureof ankle or legMetacarpal TractionOpen forearm fractureHead - Halter Traction Cruteh-field TractionCervical spine injuryHalo- pelvis tractionScoliosis